Speed of conduction is fastest in-
1. AV node
2. SA node
3. Bundle of His
4. Purkinje system

Correct answer: 4. Purkinje system

Explanation: Ans. is 'd' i.e., Purkinje system Cardiac tissueConduction velocity (meter/second)SA node0 [?] 05Inteatrial pathways1Atrial muscle0 [?] 30AV node0 [?] 05 (minimum)Bundle of His1Purkinje system4 (maximum)Ventricular muscle1